Skin testing with tuberculin-PPD is most widely used in screening for:
1. Active TB
2. Latent M. tuberculosis infection
3. Miliary TB
4. Overwhelming TB

Correct answer: 2. Latent M. tuberculosis infection

Explanation: Skin testing with tuberculin is used in screening for latent M. tuberculosis infection (LTBI). The test is of limited value in active TB. False-negative reactions are common in immunosuppressed patients and in overwhelming TB. False-positive reactions may be caused by infections with nontuberculous mycobacteria and BCG vaccination. Ref: Harrisons Principles of Internal Medicine, 18th Edition, Page 1351